Which of the following are intracellular -a) Virusb) Chlamydiac) Mycoplasmad) Rickettsia
1. acd
2. bcd
3. abd
4. ab

Correct answer: 3. abd